All are true about enterohemorrhagic E.coli Except?
1. Sereny test positive
2. May cause diarrhoea
3. Can cause hemolytic uremic syndrome
4. Verocytotoxin is produced

Correct answer: 1. Sereny test positive

Explanation: Ans. is 'a' i.e., Sereny test positive . Sereny test is positive in Enteroinvasive E. coli (EIEC) not in Enterohemorrhagic E. coli (EHEC). . EHEC can cause :- i) Severe diarrhea ii) Hemorrhagic colitis iii) Hemolytic uremic syndrome . It produces verocytotoxin (VT) or shiga like toxin (SLT). Sereny test . Sereny test is done for EIEC and shigella. . In this test, instillation of a suspension of freshly isolated ETEC or shigella into the eyes of guinea pigs leads to mucopurulent conjuctivitis and severe keratitis.